All are capsulated bacteria except -
1. Neisseria
2. Corynebacterium diphtheriae
3. Haemophillus
4. Streptococcus saliverius

Correct answer: 2. Corynebacterium diphtheriae

Explanation: The diphtheria bacillus are pleomorphic, nonsporing noncapsulated and nonmotile they are gram-positive .pleomorphic, nonsporting, encapsulated, nonmotile gram-positive bacteria REF:Ananthanarayan and Panikkar's textbook of microbiology 9th edition pg no 236